All are examples of malignant disorders causing myelofibrosis except ?
1. Chronic myelogenous leukemia
2. Hairy cell leukemia
3. Hodgkin's disease
4. PNH

Correct answer: 4. PNH

Explanation: Disorders Causing Myelofibrosis Acute leukemia (lymphocytic, myelogenous, megakaryocytic) Chronic myelogenous leukemia Hairy cell leukemia Hodgkin's disease Idiopathic myelofibrosis Lymphoma Multiple myeloma Myelodysplasia Polycythemia vera Systemic mastocytosis Ref: Harrison, E-18,P-905.